Electronic instrument used to measure gingival crevicular fluid is
1. Pericheck
2. Periotemp
3. Perioscan
4. Peiotron

Correct answer: 4. Peiotron